The shape of septal cartilage is:
1. Triangular
2. Quadrilateral
3. Oval
4. Hexagonal

Correct answer: 2. Quadrilateral

Explanation: The septal nasal cartilage, (cartilage of the septum or quadrangular cartilage) is composed of hyaline cartilage. It is somewhat quadrilateral in form, thicker at its margins than at its center, and completes the separation between the nasal cavities in front.